All the following are obstetric clinical criteria for diagnosis of Antiphospholipid Antibody Syndrome except:
1. One or more unexplained deaths of a morphologically normal fetus at or beyond 10 weeks
2. Severe preeclampsia or placental insufficiency necessitating delivery before 34 weeks
3. Three or more unexplained consecutive aboions before 10 weeks
4. One or more episodes of aerial, venous or small vessel thrombosis in any tissue or organ

Correct answer: 4. One or more episodes of aerial, venous or small vessel thrombosis in any tissue or organ

Explanation: Clinical and laboratory criteria for diagnosis of Antiphospholipid Antibody Syndrome Atleast one clinical and one laboratory criteria must be present for diagnosisThese tests must be positive on two or more occasions atleast 12 weeks apaClinical criteriaObstetric: One or more unexplained deaths of a morphologically normal fetus at or beyond 10 weeksOrSevere preeclampsia or placental insufficiency necessitating delivery before 34 weeksOrThree or more unexplained consecutive aboions before 10 weeksVascular: One or more episodes of aerial, venous or small vessel thrombosis in any tissue or organLaboratory criteriaPresence of lupus anticoagulant according to guidelines of the international society on thrombosis and hemostasisOrMedium to high serum levels of IgG or IgM anticardiolipin antibodiesOrAnti-beta2 glycoprotein-1 IgG or IgM antibody(Ref: William's Obstetrics; 25th edition)